Rectum is inflated with air, pain occurs in right iliac fossa. Which sign
1. Aaron sign
2. Battle sign
3. Bastedo sign
4. Meburney sign

Correct answer: 3. Bastedo sign

Explanation: an obsolete sign: in chronic appendicitis, pain and tenderness in the right iliac fossa on inflation of the colon with air. The definition information forBastedo sign is provided by Stedman's.